“Giant’s roll over” test for Pregnancy Induced Hypertension is done at:
1. 22-24 wks
2. 28-32 wks
3. 24-26 wks
4. 32-34 wks

Correct answer: 2. 28-32 wks

Explanation: Roll over test:
This screening test for PIH is done between 28-32 wks. BP is measured with the patient on her side first and then the patient is asked to roll on her back to check the BP one again. An increase of 20mHg in diastolic pressure from side to back position indicates a positive “roll over test”. A negative test is of value.